All of the following are true regarding histological features of asbestosis, except:
1. Diffuse pulmonary interstitial fibrosis
2. Asbestos bodies are consist of asbestos fibers coated with an calcium-containing material
3. Fibrosis begins around respiratory bronchioles and alveolar ducts and extends to involve adjacent alveolar sacs and alveoli
4. Pleural plaques are collections of dense collagen

Correct answer: 2. Asbestos bodies are consist of asbestos fibers coated with an calcium-containing material

Explanation: Histological features of Asbestosis: Marked by diffuse pulmonary interstitial fibrosis, which is indistinguishable from diffuse interstitial fibrosis resulting from other causes, except for the presence of multiple asbestos bodies. Asbestos bodies are golden brown, fusiform or beaded rods with a translucent center and consist of asbestos fibers coated with an iron-containing proteinaceous material. Other inorganic particulates may become coated with similar iron-protein complexes and are called ferruginous bodies. Pleural plaques, the most common manifestation of asbestos exposure, are well-circumscribed plaques of dense collagen. Microscopic appearance of asbestos body. An asbestos body is an asbestos fibre coated with glycoprotein and haemosiderin giving it beaded or dumbbell-shaped appearance with bulbous ends.